Contraception with increased risk of actinomycosis ?
1. OCPs
2. Condom
3. IUCD
4. Vaginal

Correct answer: 3. IUCD

Explanation: Ans. is `c' i.e., IUCD